Secondary Hyperparathyroidism is seen in all of the following, Except
1. Rickets
2. Osteomalacia
3. Osteoporosis
4. Renal failure

Correct answer: 3. Osteoporosis

Explanation: Answer is C (Osteoporosis): Osteoporosis is neither associated with hypocalcaemia nor with secondary Hyperparathyroidism